Coxsackie A virus causes all except:
1. Aseptic meningitis
2. Herpangina
3. Hand foot and mouth disease
4. Bornholm's disease

Correct answer: 4. Bornholm's disease

Explanation: Ans-DRef: Ananthnarayan R. Paniker CKJ. Textbook of Microbiology. 8th Edition. Hyderabad: UniversitiesPress: 2009. Pg. 489.Explanation:Diseases caused by group A CoxsackievirusesHerpangina (vesicular pharyngitis)Hand-foot-and-mouth diseaseAcute hemorrhagic conjunctivitisDiseases caused by group B coxsackievirusesPleurodynia (epidemic myalgia) or Bornholm's disease:- It was first described on the Danish island of Bornholm- It is a febrile disease with stitch- like a pain in the chest and abdomen, caused by Group B viruses.- The disease may occur sporadically or as epidemicsMyocarditis: Coxsackie B viruses are the most commonly identified causative agents of viral heart disease in humansPericarditisSevere generalized disease of infants